Voiding cysto urethrogram when viewed laterally, helps to diagnose all of following except
1. Vesicovaginal fistula
2. Ureterovaginal fistula
3. Urethro vaginal fistula
4. Urethral diverticulum

Correct answer: 2. Ureterovaginal fistula

Explanation: Intra - venous pyelography is used to diagnose uretero vaginal fistula.